Liver biopsy is done through 8th midaxillary line to avoid
1. Lung
2. Pleural cavity
3. Sub diaphragmatic
4. Gall bladder

Correct answer: 1. Lung

Explanation: Lung crosses rib 6 in the midclavicular line and rib 8 in the midaxillary line and then proceeds toward the 10th thoracic vertebra